Following index measures average achievements in basic dimensions of human development -
1. Human poverty index
2. Human development index
3. Gender empowerment index
4. Life expectancy at birth

Correct answer: 2. Human development index

Explanation: Ans. is 'b' i.e., Human development index Achievements in basic dimensions of human development -> Human development index. o Deprivation in basic dimensions of human development.............Human poverty index.